Bezold abscess lies in relation to:
1. Sternocleidomastoid muscle
2. Behind the mastoid
3. Submandibular region
4. Bony meatus

Correct answer: 1. Sternocleidomastoid muscle

Explanation: Ans: A i.e. Sternocleidomastoid muscle Abscess Bezold abscess may i) lie deep to sternocleidomastoid ii) follow the posterior belly of digastrics iii) may present in upper part of posterior triangle etc. Citelli's abscess is formed behind the mastoid more towards the occipital bone. Some authors consider abscess of the digastrics triangle as Citelli's abscess Luc's abscess swelling is seen in deep part of bony meatus